Thrombo-angitis Obliterans involves?
1. Arteries
2. Veins
3. Nerves
4. All of above

Correct answer: 4. All of above

Explanation: Ans. (d) All of aboveRef: Bailey & Love 26th ed. 1899-900* Buerger's disease is an inflammation of the arteries, veins, and nerves in the legs, principally, leading to restricted blood flow. Left untreated, Buerger's disease can lead to gangrene of the affected areas. Buerger's disease is also known as thrombo-angitis obliterans.* Early symptoms include decrease in the blood supply (arterial ischemia) and superficial (near the skin surface) phlebitis. The main symptom is pain in the affected areas. Inflammation occurs in small and medium-sized arteries and veins near the surface of the limb. The pulse in arteries of the feet is weak or undetectable. The lack of blood flow can lead to gangrene. A cold sensitivity in the hands, similar to that seen in Raynaud's disease, can develop.